Post prandial motility is maximum in
1. Transverse colon
2. Rectum
3. Descending colon
4. Sigmoid colon

Correct answer: 4. Sigmoid colon

Explanation: Post prandial motility is maximum in sigmoid colon followed by transverse colon.